Laryngeal mirror is warmed before use by placing:
1. Glass surface on flame
2. Back of mirror on flame
3. Whole mirror into flame
4. Mirror in boiling water

Correct answer: 1. Glass surface on flame

Explanation: (a) Glass surface on flame(Ref. Dhingra, 6th ed., 384)Laryngeal mirror is warmed before use by placing the glass surface on flame to prevent fogging caused due to breathing.Putting back of mirror on flame or will heat its back surface also which when held against the soft palate of the patient, while doing I/L, will cause burn injury.